Investigation of choice for neurosyphilis
1. FTA-ABS
2. RPR
3. VDRL
4. TPI

Correct answer: 3. VDRL

Explanation: * Sample of diagnosis for neurosyphilis is CSF * Only tests that can be done for neurosyphilis are: * VDRL * FTA-ABS * The diagnosis of asymptomatic neurosyphilis is made in patients who lack neurologic symptoms and signs but who have CSF abnormalities including mononuclear pleocytosis, increased protein concentrations, or CSF reactivity in the VDRL test. * When VDRL is negative, FTA-ABS is done to confirm the test. * Ideally both tests here are used in diagnosis; But when you have to choose single best option - best is VDRL according to CDC site and Mandells ID book. Ref:- Harrisons T.B of internal medicine 19th edition; pg num:- 1136